Placenta succenturiata may have all except:
1. Preterm delivery
2. PPH
3. Missing lobe
4. Sepsis and subinvolution

Correct answer: 1. Preterm delivery

Explanation: Ans. is a, i.e. Preterm deliveryRef. Dutta Obs 9/e, p 205Succenturiate lobe can lead to PPH, sub involution, uterine sepsis and polyp.Note: The accessory lobe in succenturiate placenta is developed from the activated villi on the chorionic laeva.